Carbamazepine is NOT used in -
1. Mania
2. Partial seizure
3. Trigeminal neuralgia
4. Migraine

Correct answer: 4. Migraine

Explanation: Ans. is 'd' i.e., Migraine Uses of Carbamezapine (i) Complex partial seizures Most effective drug* (ii) Generalized tonic clonic and simple partial seizures (iii) Trigeminal neuralgia --> D.O.C. * (iv) Manic depressive illness and acute mania --> As an alternative to lithium * (v) As an antidiuretic in Diabetic insipidus. Antiepileptics used for prophylaxis of Migraine o Valproate o Topiramate o Gabapentin